Antibody diversity is due to -
1. Gene rearrangement
2. Gene translocation
3. Antigenic variation
4. CD40 molecules

Correct answer: 1. Gene rearrangement

Explanation: The large and diverse population of antibody paratope is generated by random recombination events of a set of gene segments that encode different antigen-binding sites (or paratopes), followed by random mutations in this area of the antibody gene, which create further diversity Ref: Ananthanarayan & Parker's textbook of microbiology 9th edition pg: 94-97